Blood supply of the uterus is by:
1. Ovarian artery
2. Uetrine artery
3. Both
4. None of the above

Correct answer: 3. Both

Explanation: The uterus is chiefly supplied by the two uterine arteries and partly by ovarian arteries